Variation of Sample mean from Population mean is:
1. Standard error of the mean
2. Standard error of proportion
3. Standard error of difference between two means
4. Standard error of difference between two proportions

Correct answer: 1. Standard error of the mean

Explanation: Standard error: It is the variation of sample mean from population mean. Sample mean is known as statistic. Population mean is known as parameter. - Standard deviation is the variation in a single value from the mean of a sample.